A 5yrs old boy presented with leucocoria in right eye ball diagnosed to be retinoblastoma involving full eyeball, while other eye had 2-3 small lesion in the periphery. What will be the ideal management for this patient?
1. Enucleation of both eyes
2. Enucleation of right eye& conservative management of the other eye
3. Enucleation of right eye and focal therapy of the other eye
4. 6 cycles of chemotherapy

Correct answer: 3. Enucleation of right eye and focal therapy of the other eye

Explanation: *When vision cannot be saved in both the eye:- *Enucleation of more affected one. *Chemotherapy + local destruction for less affected eye. Ref: Yanoff & Ducker Ophthalmology 2nd/e p.1047.